The 4 classical features of inflammation are described by -
1. Celsus
2. Hippocrates
3. Aristotle
4. Galen

Correct answer: 1. Celsus

Explanation: Ans. is 'a' i.e., Celsus